The following insulin can be given intravenously:
1. Protamine zinc insulin
2. Ultra lente insulin
3. Semi lente insulin
4. Regular insulin

Correct answer: 4. Regular insulin